Which of the following is not an optical aberration seen in aphakic patients
1. Pin cushion effect
2. Minification of image
3. Roving ring scotoma
4. Jack in the box phenomenon

Correct answer: 2. Minification of image

Explanation: Magnification and not minification of image is seen in aphakic glasses OPTICAL ABBERATIONS SEEN IN APHAKIC GLASSES Pin cushion effect Magnification of imageas a high plus power lens is used Jack in the box phenomenon Roving ring scotoma Spherical abberation Chromatic abberation